The resting uretric pressure ?
1. 5-7 cm of Hp
2. 15-30 cm of Hp
3. 7-10 cm of Hp
4. 0-5 cm of 1-120

Correct answer: 4. 0-5 cm of 1-120

Explanation: Ans. is 'd' i.e. 0-5 cm of H20 "Baseline or resting ureteral pressure is approx. 0 to 5 cm 1120, and superimposed ureteral contraction ranging from 20 to 80 cm H20 occur two to six times per minute." - Cambell's Urology